A 50 year old man suffering from carcinoma of prostate showed areas of sclerosis and collapse of T10 and T11 vertebrae in X-ray.The spread of this cancer to the above vertebrae was most probably through
1. Sacral canal
2. Lymphatic vessels
3. Internal vertebral plexus of veins
4. Superior rectal veins

Correct answer: 3. Internal vertebral plexus of veins

Explanation: C. i.e. Internal vertebral plexus of veinsValve less communication exist between prostatic & vertebral venous plexuses through which Prostatic carcinoma can spread to the vertebral column & to the skull.QThis communicating plexus is k/a Bateson's plexusQBony metastasis of prostate is mainly osteoblastic (sclerotic)QPelvis is the most common site for bony metastasisQ followed by Lumber > Thoracic vertebra.